Which one of the following is not associated with diabetes in pregnancy ?
1. Sacral agenesis of the fetus
2. Advanced placental grading
3. Baby weight > 3.5 kg
4. Hydramnios

Correct answer: 2. Advanced placental grading

Explanation: Advanced placental grading